Popcorn calcification is seen in -
1. Fibroadenoma
2. Fibroadenosis
3. Carcinoma breast
4. None

Correct answer: 1. Fibroadenoma

Explanation: Ans. is 'a' i.e., Fibroadenoma o Calcifications are common in fibroadenoma of breast, especially in postmenopausal women,o Most of the calcification are coarse and the so called popcorn calcifications are pathognomonic for fibroadenoma.